Earliest manifestation of increased intracranial pressure following head injury is
1. Ipsilateral papillary dilatation
2. Contralateral papillary dilation
3. Altered mental status
4. Hemiparesis

Correct answer: 3. Altered mental status

Explanation: Ans. (c) Altered mental statusRef: Bailey 26th 310Altered mental status is the earliest manifestation of increased intracranial pressure.Cushing's triad of increased ICP* Intracranial hypertension* Brady cardia* Irregualr respiration